Euryblepharon is?
1. Full-thickness triangular gap in tissue of the lids
2. Unilateral or bilateral horizontal widening of palpebral fissure
3. Small eyelids
4. Failure of lid to develop

Correct answer: 2. Unilateral or bilateral horizontal widening of palpebral fissure

Explanation: Euryblepharon : Unilateral or bilateral horizontal widening of palpebral fissure. Usually a/w lateral canthal malposition and lateral ectropion